Antecedent diagnosis of Group A streptococcal infection in Acute rheumatic fever can be made by?
1. AS0
2. CRP
3. ESR elevation
4. Low C3 levels

Correct answer: 1. AS0

Explanation: Ref: Nelson 20th edition, P 1333Because other illnesses may closely resemble Acute rheumatic fever, antecedent group A Streptococcal Infection is needed whenever possible. The tests are* Increasing or rising Anti-Streptolysin O titer or other streptococcal antibodies indicates recent streptococcal infection* A Positive throat Culture* A Positive Rapid group streptococcal carbohydrate antigen test in a childGuidelines for the Diagnosis of Initial or Recurrent Attack of Rheumatic Fever (Jones Criteria, Updated 20'15)1Major manifestationsMinor manifestationsSupporting evidence of antecedent group a streptococcal infectionCarditisPolyarthritisErythemamarginatumSubcutaneous nodules ChoreaClinical features: Arthralgia Fever Laboratory features:Elevated acute phase reactants: Erythrocyte sedimentation rate C-reactive protein Prolonged P-R intervalPositive throat culture or rapid streptococcal antigen test.Elevated or increasing streptococcal antibody titer